Most common lesion assoasiated with pathological fractures in hand is
1. Enchondroma
2. Metastases
3. Osteoid sarcoma
4. Osteochondroma

Correct answer: 1. Enchondroma

Explanation: Majority of the pathological fractures are caused by Enchondromas Refer Management of hand fractures